Subodontoblastic nerve plexus of Raschkow is separated from odontoblasts by
1. Cell rich zone
2. Cell free zone
3. Fibrous zone
4. Zone of blood vessels

Correct answer: 2. Cell free zone

Explanation: Sensory nerve fibers that originate from inferior and superior alveolars innervate the odontoblastic layer of the pulp cavity. These nerves enter the tooth through the apical foramen as myelinated nerve bundles. They branch to form the subodontoblastic nerve plexus of Reschkow which Is separated from the odontoblasts by a oell-free can Zone of weil.
In addition to the sensory nerves, sympathetic nerve bundles also enter the tooth to innervate blood vessels.